Cushing's reflex is characterized by all except:
1. Increased systolic BP
2. Increased heart rate
3. Irregular respiration
4. None of the above

Correct answer: 2. Increased heart rate

Explanation: Cushing's reflex is seen in cases of increased intracranial tension characterized by:

Increased systolic BP
Decreased heart rate 
Irregular respiration